SA Node is located at
1. Upper end crista terminalis
2. Lower end of crista terminalis
3. At opening of IVC
4. At ostium primum

Correct answer: 1. Upper end crista terminalis

Explanation: SA node is situated at the atriocaval junction in the upper part of the sulcus terminalis B D CHAURASIA'S HUMAN ANATOMY UPPER LIMB THORAX-VOLUME 1 SIXTH EDITION Page no-262